Coarctation of aorta is most commonly associated with –
1. VSD
2. PDA
3. Bicuspid aortic valve
4. ASD

Correct answer: 3. Bicuspid aortic valve

Explanation: 98% of coarctation of aorta is Juxta-ductal (at the origin of ductus arteriosus just below the origin of subclavian artery).
Bicuspid aortic valve is associated in more than 70% of patients.
It is also associated with : —> PDA, VSD, ASD, TGA, Hypoplastic left heart
It is the most common CHD seen in Turner syndrome.